Which type of hypospadias does not need surgery?
1. Glandular
2. Coronal
3. Penile
4. Perineal

Correct answer: 1. Glandular

Explanation: Glandur type is the most common type of hypospadias. It does not need surgery.